Graft rejection is ?
1. Cell mediated
2. Humoral
3. Both
4. None

Correct answer: 3. Both

Explanation: Ans. is 'c' i.e., Both